Below what values of cerebral blood flow, Ischemia occurs in the brain?
1. 20 mL/100 g/min
2. 30 mL/100 g/min
3. 40 mL/100 g/min
4. 50 mL/100 g/min

Correct answer: 1. 20 mL/100 g/min

Explanation: Cerebral blood flow <20 mL/100 g tissue per minute cause Ischemia without infarction unless prolonged for several hours or days. Transient ischemic attack - Patient may experience only transient symptoms, if blood flow is restored to ischemic tissue before significant infarction develops. Normal cerebral blood flow (CBF) - 50-55 mL/100 g/min.